Allopurinol inhibits which enzyme?
1. Xanthine oxidase
2. Kinase
3. Lysyl oxidase
4. Cyclooxygenase

Correct answer: 1. Xanthine oxidase

Explanation: Allopurinol inhibits Xanthine oxidase Mechanism-based inhibition/Suicidal inhibitors resemble the actual substrate of the enzyme. Enzymes binds to suicidal inhibitor & catalytic process is started. In the process of catalysis, enzyme undergoes irreversible covalent modification by the inhibitor & active enzyme can't be regenerated. (Enzyme catalyses its own destruction) Suicidal Inhibitor Enzyme Allopurinol Xanthine oxidase Aspirin Cyclooxygenase 5-FU Thymidylate synthase Penicillin Transpeptidase Difluoromethylornithine Ornithine decarboxylase